Temporary dentition usually starts at which year of age ?
1. 6 months
2. 4 months
3. 8 months
4. 3 months

Correct answer: 1. 6 months

Explanation: Temporary dentition usually starts at around 6 months  of age and gets completed by 2 yrs of age.